In the video you can see a testicular procedure being done. This is the testicular sperm aspiration for azoospermic men. Which of the following procedures can be performed to help this couple have a successful embryo formation in the ART "Assisted Reproductive Technology" Lab.
1. Intra cytoplasmic Sperm Injection
2. In Vitro Fertilization
3. Intra Uterine Insemination
4. Intra Vaginal insemination of the aspirated sperms

Correct answer: 1. Intra cytoplasmic Sperm Injection

Explanation: ICSI can be performed to help this couple have a successful embryo formation in the ART In this one sperm is directly injected into mature egg prior to intrauterine transfer of the fertilized eggs ICSI should be offered if the semen analysis shows <5 million motile sperm, | or absent motility of sperms. Many abnormal sperms Previous failed IVF Unexplained infertility IVF as well as other ART procedures require at least 1,00,000 sperms per oocyte to have good chances of fertilisation and with TESA, the number of sperms obtained is much less, good enough for ICSI (Intracytoplasmic Sperm Injection) that requires a single morphologically normal sperm. Hence sperms obtained from TESA are used for ICSI is the single best answer here.